Deformity most commonly seen in primary osteoarthritis of knee joint
1. Genu valgum
2. Genu recurratum
3. Genu varus
4. Procurvatum

Correct answer: 3. Genu varus

Explanation: In knee joint osteoarthritis, medial joint space is affected earliest and causes assymetrical joint space narrowing This results in varus deformity Refer: maheswari 9th/e p 420